Stunned pulp is:
1. Necrosed pulp.
2. Degenerate pulp.
3. Pulp does not respond fir 6-8 weeks after trauma.
4. Hyperaemic pulp

Correct answer: 3. Pulp does not respond fir 6-8 weeks after trauma.